Which is denatured collagen in humans?
1. Gelatin
2. Homocollagen
3. Tropocollagen
4. None

Correct answer: 1. Gelatin

Explanation: heat denatured collagen is gelatin . REFERENCE; DM VASUDEVAN TEXTBOOK SEVENTH EDITION ; Page no;39